Acinic cell carcinomas of the salivary gland arise most often in the -
1. Parotid salivary gland
2. Minor salivary glands
3. Submandibular salivary gland
4. Sublingual salivary gland

Correct answer: 1. Parotid salivary gland

Explanation: Acinic Cell Carcinoma This is a rare tumor composed of acinic cells resembling serous cells of a normal salivary gland. These cells are arranged in sheets or acini and have characteristic basophilic granular cytoplasm. Ref: TEXTBOOK OF PATHOLOGY 6th EDITION - HARSH MOHAN PAGE NO:537